Extremely low birth weight is defined as weight of an infant below:
1. 1000 gm
2. 1200 gm
3. 1500 gm
4. 2500 gm

Correct answer: 1. 1000 gm

Explanation: Ans. A i.e. 1000 gm